Drug not given sublingually is -
1. Isosorbide dinitrate
2. Bupreorp hi ne
3. Ergotamine tarate
4. lsosorbide-5-mononitrate

Correct answer: 4. lsosorbide-5-mononitrate

Explanation: Ans. is 'd' i.e., Isosorbide-5-mononitrate Drugs that are used by subligunal route are: i) Nitrates: Nitroglycerine (glycery trinitrate), isosorbide dinitrate, Erythrity terranitrate ii) Opioids: Buprenorphine, morphine iii) Antianxiety: Alprazolame, clonezepam, Lerazepam diazepam iv) Antimigraine: Ergotamine tarate Other: Mefidipine, Desamino-oxytoc in, Ondansetron, Domperidone, Methyltestosterone.